Which of the following is NOT a property of the Signal Recognition Particle (SRP)?
1. Contains RNA and several polypeptides
2. Contains a single peptidase activity
3. Temporarily arrests translation
4. Binds to the signal sequence of secretory proteins

Correct answer: 2. Contains a single peptidase activity

Explanation: This is not a correct statement about SRP and hence is the correct answer to this question. SRP does not have peptidase activity. The signal sequence is removed from secretory proteins by a signal peptidase located within the RER.